Podophyllin is treatment of choice in
1. Plantar was
2. Condyloma lata
3. Condyloma accuminata
4. Plain was

Correct answer: 3. Condyloma accuminata

Explanation: Podophyllin Mech of action:- Antimitotic, arrest cells in metaphase by binding tubulin. Uses:- Used for condyloma acuminata . Contraindication:- Contraindicated in pregnancy . Ref:- Sima Jain; pg num:-332